In which of the following form of leprosy, lepromin test is highly positive in
1. Borderline type
2. Typical tuberculoid
3. Lepromatous
4. Intermediate

Correct answer: 2. Typical tuberculoid

Explanation: Lepromin test has 2 reactions. at 2 days early reaction of Fernandez due to the late hypersensitivity reaction.Starting 7-10 days peaking at 21 is the late reaction of Mitsuda. It is a cell-mediated immunity. It is more positive in typical tuberculoid type. Gets weaker as it passes through the spectrum to lepromatous type. Thus typical lepromatous type with failed cell-mediated immunity are at risk of developing progressive multibacillary leprosy.Hence Lepromin test has prognostic significance.Park 23rd edition Pg: 321